Husband had intercourse with wife during separation without consent. Section which deals with it:
1. 376-A IPC
2. 376-B IPC
3. 376-C IPC
4. 376-D IPC

Correct answer: 2. 376-B IPC

Explanation: Husband having intercourse with wife during separation without consent is punishable under 376 B IPC. 376 A IPC Punishment for causing the victim to suffer persistent vegetative state during rape 376 C IPC Custodial rape 376 D IPC Gang rape 376 E IPC Rape by repeated offender